False about osteomyelitis in Newborns
1. Common in males
2. Common in post-term babies
3. Poor prognosis
4. Hematogenous spread

Correct answer: 2. Common in post-term babies

Explanation: Common in preterm babies.